Bile acid uptake by hepatocytes is dependent on:
1. Calcium
2. Iron
3. Sodium
4. Potassium

Correct answer: 3. Sodium

Explanation: Ans. C. SodiumThe uptake of bile acid by hepatocytes is sodium-dependent and is not dependent on calcium, iron, potassium, or chloride.